Head & neck involvement in burns in infant is ?
1. 9%
2. 18%
3. 27%
4. 32%

Correct answer: 2. 18%

Explanation: Answer is 'b' i.e. 18% Children have a relatively larger portion of the body surface area in the head and neck which is compensated for by a relatively smaller surface area in the lower extremities. Infants have 21% of TBSA in the head and neck and 13% in each leg. The burn size, mentioned as a proportion of the patients TBSA (total body surface area) is the single most important factor in predicting burn related mortality.